The palatine bone furnishes the link between:
1. Maxilla and the sphenoid bone
2. Sphenoid and the ethmoid bone
3. Sphenoid and the vomer
4. None of the above

Correct answer: 1. Maxilla and the sphenoid bone

Explanation: Palatine bone furnishes the link between Maxilla and Sphenoid bone.
Palate is formed by

Anterior 2/3rd by palatine process of maxilla.
Posterior 1/3rd by horizontal plate of palatine bones.


Palate is connected laterally & posteriorly to sphenoid bone, through perpendicular plate and sphenoidal process of palatine bone.
The pterygoid plates are separated laterally from posterior surface of body of maxilla by pterygomaxillary fissure.

Key Concept: 
Palate is connected laterally & posteriorly to sphenoid bone, through perpendicular plate and  sphenoidal process of palatine bone.